Theory of web of causation was given by?
1. Me Mohan and Pugh
2. Pettenkoffer
3. John snow
4. Louis Pasteur

Correct answer: 1. Me Mohan and Pugh

Explanation: ANSWER: (A) Me Mohan and PughREF: Park 20th edition page 32"The web of causation theory was given by MC Mohan and Pugh"